Acquired nasolacrimal duct obstruction is a side effect of therapy of which of the following medication
1. Timolol
2. Brimonidine
3. Dorzolamide
4. Pilocarpine

Correct answer: 1. Timolol

Explanation: Ans. a. Timolol Acquired nasolacrimal duct obstruction is a side effect of chronic use of timolol-containing topical glaucoma therapy. "Chronic use of timolol-containing topical glaucoma therapy preparations in glaucoma patients is associated with an increased risk for the development of nasolacrimal duct obstruction (NLD0)."- Seider N, Miller B. Beiran I. Topical glaucoma therapy as a risk factor for nasolacrimal duct obstruction.